Stary sky" appearance is seen in
1. Burkitt's lymphoma
2. Mantle cell lymphoma
3. Extra nodal marginal zone B-cell lymphoma of MALT type
4. Chronic myeloid leukemia,

Correct answer: 1. Burkitt's lymphoma

Explanation: (A) (Burkitt's lymphoma) (456 - HM) (453- Basic pathology 8th)Burkitt's lymphoma - The tumour cells have a very high mitotic rate, and therefore high cell death. This features accounts for presence of numerous macrophages in the background of this tumour containing phagocytosed tumour debris giving it a "starry sky appearance"